Bisphosphonate-induced osteomalacia is commonly seen with -
1. Alendronate
2. Pamidronate
3. Zolendronate
4. Etidronate

Correct answer: 4. Etidronate

Explanation: Ans. is 'd' i.e., Etidronate o First geneion BNPs (etidronate, tiludronate, medronate) can cause osteomalacia.